Michaelis Menton constant is:
1. Concentration of drug at which the reaction velocity is half of maximum
2. Concentration of drug at which the reaction velocity is maximum
3. Both
4. None

Correct answer: 1. Concentration of drug at which the reaction velocity is half of maximum